Treatment of chronic phase of CML is?
1. Imatinib
2. Hydroxyurea
3. Interferon
4. Cytarabine

Correct answer: 1. Imatinib

Explanation: Ans. is 'a' i.e., Imatinib o Imatinib is the first line therapy for newly diagnosed CML patients.